Maximum histamine is released by
1. d Tubocurarine
2. Succinycholine
3. Pancronium
4. Gallamine

Correct answer: 1. d Tubocurarine

Explanation: Tubocurarine is a toxic alkaloid historically known for its use as an arrow poison.
In the mid-1900s, it was used in conjunction with an anesthetic to provide skeletal muscle relaxation during surgery or mechanical ventilation.